A patient, Hari has been diagnosed to have schizophrenia. Which of the following acts as a limiting factor in the use of clozapine as an antipsychotic drug in this patient ?
1. Its potential to cause agranulocytosis
2. Its inability to benefit negative symptoms of schizophrenia
3. High incidence of extrapyramidal side effects
4. Production of hyperprolactinemia

Correct answer: 1. Its potential to cause agranulocytosis